Which is not Glucogenic?
1. Arginine
2. HIstidine
3. Glycine
4. Lysine

Correct answer: 4. Lysine

Explanation: The glucogenic amino acids are: Alanine Arginine Asparagine Aspartic Cysteine Glutamic Glutamine Glycine Histidine Methionine Proline Serine ValineRef: DM Vasudevan, 7th edition